NSAID which undergoes enterohepatic circulation
1. Phenylbutazone
2. Piroxicam
3. Aspirin
4. Ibuprofen

Correct answer: 2. Piroxicam